Most common viral infection in post transplant kidney -
1. EBV
2. HSV
3. CMV
4. HBV

Correct answer: 3. CMV

Explanation: Ans. is 'c' i.e., CMV o Cytomegalo virus (CMK)is a significant cause of morbidity and mortality in renal transplant recipients.o CMV is present in more than two thirds of donors and recipients prior to transplantation and can be transmitted from the donor by the transplanted kidney.The concurrent administration of immunosuppressive drugs to prevent rejection increases the risk of clinically relevant CMV disease.Both the donor and the recipient are routinely tested for anti CMV antibodies prior to transplantation.